In the presence of vasopressin, which part of the nephron reabsorbs greatest fraction of filtered water?
1. Proximal tubule
2. Distal tubule
3. Loop of Henle
4. Collecting duct

Correct answer: 1. Proximal tubule

Explanation: Proximal tubule is highly water permeable. Here, 65% of the filtrate is reabsorbed, driven by active transport. As ions are reabsorbed water follows by osmosis. Vasopressin influences water permeability only in the distal and collecting tubules. It has no influence over the 80% of the filtered water that is reabsorbed without control in the proximal tubule and loop of henle. Ref: Fundamentals of Human Physiology By Lauralee Sherwood , Page 408; The Renal System at a Glance By Chris O'Callaghan, 3rd Edition, Page 33.